Respirable dust, responsible for pneumoconiosis, has a size limit of:
1. <1 micron
2. <5 micron
3. <10 micron
4. <100 micron

Correct answer: 2. <5 micron

Explanation: Pneumoconiosis occur due to occupational exposure to dust. Particles size 0.5 to 3.0 microns are the most dangerous (as a health hazard causing pneumoconiosis), as they reach the interior of lungs with ease. Particles size and behaviour: Particle size Behaviour >10 microns Settle down by gravity <10 microns Remain suspended in air 5-10 microns Arrested in upper respiratory tract 3-5 microns Deposited in mid respiratory tract 1-3 microns Enter alveoli and settle there (cause pneumoconiosis) <1 more Brownian movement Ref: Park 25th edition Pgno: 843